Which of the following is used for oxygen therapy –
1. Pulse oximeter
2. Nick name's catheter
3. Hudson's mask
4. Guedel's airway

Correct answer: 3. Hudson's mask

Explanation: Hudson's mask (a non-rebreathing mask) is a low flow (variable - performance) equipment for O2 delivery.